Recommended dosage of fluoride mouth rinse for 12-14 year old is
1. 10 ml 0.2% NaF twice daily
2. 10 ml 0.2% NaF once daily
3. 10 ml 0.2% NaF twice monthly
4. 10 ml 0.2% NaF once monthly

Correct answer: 3. 10 ml 0.2% NaF twice monthly